All of the following drugs enhances bone resorption except:
1. Prostaglandins
2. Vitamin D
3. Corticosteroids
4. Bisphosphonates

Correct answer: 4. Bisphosphonates

Explanation: Various promoter drugs: (enhance bone resorption)

Prostaglandins
Leukotrienes
Cytokines
Vitamin D
Osteocalcin
Corticosteroids

Supressor agents: (Reduce bone resorption)

NSAIDS
Bisphosphonates (used in treatment of cancers and osteoporosis)